Regarding cochlear implant, which of the following is true -
1. Not contraindicated in cochlear malformation
2. Contraindicated in < 5 yrs
3. Indicated in mild to moderate hearing loss
4. Implanted through oval window

Correct answer: 1. Not contraindicated in cochlear malformation